Double aorta develops from
1. 1st arch artery
2. 2nd arch artery
3. Right dorsal aorta
4. Left dorsal aorta

Correct answer: 3. Right dorsal aorta

Explanation: Inderbir Singh's Human embryology Tenth edition Pg 257Double aorta occurs due to the persistence of distal portion of the right dorsal aorta